A patient comes to you complaining that whenever he takes aspirin for headache, he develops severe shortness of breath. Which of the following may be partly responsible for this effect?
1. Leukotrienes
2. Prostaglandin E
3. Thromboxane A2
4. Prostacyclin

Correct answer: 1. Leukotrienes

Explanation: Aspirin inhibits COX enzyme and results in the diversion of AA pathwaytowards LT synthesis. As LTs are powerful bronchoconstrictor agents, these may result in the shortness of breath in patients who are susceptible. Aspirin acetylated COX starts producing lipoxins (known as aspirin triggered lipoxins) that also have bronchoconstrictor properties.